Herpes simplex virus is
1. Single stranded DNA
2. Double stranded DNA
3. Single stranded RNA
4. Double stranded RNA

Correct answer: 2. Double stranded DNA